Bilateral symmetrical maculopapular rash on palms and soles is a feature of -
1. Primary syphilis
2. Secondary syphilis
3. Tertiary syphilis
4. Congenital syphilis

Correct answer: 2. Secondary syphilis

Explanation: In secondary syphilis the lesions are symmetrical and numerous initially. In tertiary syphilis nodular and noduloulcerative gummata are seen. In congenital syphilis any type of lesion can be seen including Bullous type. In primary syphilis chancre is the typical lesion. From illustrated synopsis of dermatology and sexually transmitted diseases neena khanna 5th edition page no 321,322